Which among the following secretions has the highest HC03 content?
1. Saliva
2. Bile
3. Succus entericus
4. Pancreatic secretions

Correct answer: 4. Pancreatic secretions

Explanation: The pancreatic juice is alkaline and has a high HCO3- content (approximately 113 mEq/L vs 24 mEq/L in plasma). Composition of Normal Human Pancreatic Juice: Cations: Na+, K+, Ca2+, Mg2+ (pH approximately 8.0) Anions: HCO3-, Cl-, SO42-, HPO42- Digestive enzymes Other proteins Ref: Barrett K.E., Barman S.M., Boitano S., Brooks H.L. (2012). Chapter 25. Overview of Gastrointestinal Function & Regulation. In K.E. Barrett, S.M. Barman, S. Boitano, H.L. Brooks (Eds), Ganong's Review of Medical Physiology, 24e.